Marker for NK cell activity is-
1. CD3
2. CD4
3. CD56
4. CDI9

Correct answer: 3. CD56

Explanation: T cell markers are unidigits (Eg: CD3) B cell markers are double digits (Eg: CD20) Natural Killer (NK) cell- 10-15% of peripheral blood lymphocyte Larger than small lymphocyte and contain azurophilic granules Large granular lymphocyte First line of defence against tumour cells, viral infected cells CD16 and CD56 positive Secretes gamma Interferon Antibody Dependent Cell mediated Cytotoxicity (ADCC)